Recurrent respiratory tract infections may occur in all of the following except
1. Ventricular septal defect
2. Tetrology of Fallot
3. Transposition of great arteries
4. Total anomalous venous return

Correct answer: 2. Tetrology of Fallot

Explanation: VSD is associated with recurrest chest infections. Tetralogy of fallot is not associated with Recurrent respiratory tract infection! Ref : Ghai essential of pediatrics, eighth edition,p.no:415